The normal P wave is biphasic in lead
1. V1
2. LII
3. aVF
4. aVR

Correct answer: 1. V1

Explanation: The normal P wave in lead V1 may be biphasic with a positive component reflecting right atrial depolarization, followed by a small (<1 mm2 ) negative component reflecting left atrial depolarization. Ref Harrison 20th edition pg 1455